True about Sarcoidosis is?
1. Skin is the most common organ involved
2. Premalignant condition
3. Non-caseating granuloma
4. May be associated with hypocalcaemia

Correct answer: 3. Non-caseating granuloma

Explanation: Ans. is 'c' i.e., Non caseating granulomas Sarcoidosis* Sarcoidosis is an immune system disorder characterized by the presence of non-caseating granulomas (aggregate of tightly clustered epitheloid cells, often with langhans or forein body type giant cells. Central necrosis is unusual)* Granulomas most often appear in the lung or the lymph nodes --> Bilateral hilar lymphadenopathy or lung involvement is visible on chest radiograph in 90% of cases.* Granulomas also contain:-A. Schaumann bodies - Laminated concretions composed of calcium and proteins.B. Asteroid bodies - Stellate inclusions within giant cells.Clinical features1. Lung and lymph nodes (95%)* Respiratory complaints including cough and dysnea are the most common presenting symptoms. Usually the infiltrate in sarcoidosis are predominantly an upper lobe process. There is bilateral hilar lymphadenopathy.* 'Potato nodes' are seen in sarcoidosis.2. Skin (24%-43%)* Skin lesions include erythma nodosum, maculopapular lesion, subcutaneous nodules, hypo or hyperpigmentation, keloid formation and lupus pernio.* Lupus pernio is involvement of bridge of nose, area beneath the eyes and cheek. It is diagnostic for a chronic form of sarcoidosis.3. Eye (12-29%)* Eye lesions include uveitis, retinitis, pars planitis and dry eye due to lacrimal gland involvement.* Uveoparotid fever (Heerfordt-Waldenstrome syndrome) include classical triad of Uveitis, parotitisand 7th nerve palsy.4. Other organs involved* These are salivary glands particulary parotid (causing dry mouth), spleen (splenomegaly), liver, heart and brain (neurosarcoidosis). Granuloma in sarcoidosis can secrete 1-25 (OH)2 vitamin-D which causes hypercalcemia.